Not used as classification for perthe's disease
1. Catterall classification
2. Salter Thompson classification
3. Stulberg classification
4. Salter Haris Classification

Correct answer: 4. Salter Haris Classification